Facial occlusal line in the maxillary arch is formed by
1. Stamp cusps
2. Centric holding cusps
3. Supporting cusps
4. Non-supporting cusps

Correct answer: 4. Non-supporting cusps